The interior of right atrium is partially divided into two parts by -
1. Crista terminalis
2. Musculi pectinati
3. Fossa ovalis
4. Sinus venarum cavarum

Correct answer: 1. Crista terminalis

Explanation: Right atrium is divided into rough anterior and smooth posterior parts by crista terminalis.